Which of the following is best used in the diagnosis of congenital syphilis –
1. FTA–ABS
2. TPHA
3. IgM–FTA ABS
4. TPI

Correct answer: 3. IgM–FTA ABS